Tripoding of cast is used for
1. Blocking out undercuts
2. Recording position on surveyor
3. Locating guiding plane
4. Determining path of insertion

Correct answer: 2. Recording position on surveyor

Explanation: Some method of recording the relation of the cast to the vertical arm of the surveyor must be used so that it may be returned to the surveyor for future reference, especially during mouth preparation. The same applies to the need for returning any working cast to the surveyor for shaping wax patterns, trimming blockout on the master cast, or locating clasp arms in relation to undercut areas. This is done by tripoding.